Hepatitis B is not transmitted by -
1. Blood transfusion
2. Pasteurised albumin
3. Cryoprecipitate
4. Sexual contact

Correct answer: 2. Pasteurised albumin

Explanation: Hepatitis B is transfusion hepatitis It is not transmitted by Hug or Kiss REF:
ANITHA NARAYANAN MICROBIOLOGY NINTH EDITION PAGE.540&542